Second offence of stalking is
1. Cognizable and Bailable
2. Cognizable and non Bailable
3. Non cognizable and bailable
4. Non cognizable and non bailable

Correct answer: 2. Cognizable and non Bailable

Explanation: First offence of stalking is cognizable and Bailable.
Second offence of stalking is cognizable and non Bailable.